Risus-sardonicus term used in:
1. Rabies
2. Tetanus
3. Syphilis
4. Frost-bite

Correct answer: 2. Tetanus

Explanation: (Tetanus): Ref: 840 - H (899-Hn,h)Clinical manifestations of Tetanus* Most common form of the disease is characterized by increased muscle tone and generalized spasms. Median time of onset after injury is 7 days)* Trismus or lockjaw - First noticed increased tone in the masseter muscle* Dysphagia or stiffness or pain in the neck, shoulder and back muscles,* Rigid abdomen and stiff proximal limb muscles, The hand and feet are relatively spared.* Risus sardonicus - Sustained contraction of the facial muscles results in a grimace or sneer* Opisthotonos - Contraction of the back muscles produces on arched back* Cyanosis and threaten ventilation, Deep tendon reflexes may be increased* Other complications include aspiration pneumonia, fractures, muscle rupture, deep vein thrombophlepbitis, pulmonary emboli, decubitus ulcer and rhabdomyolysis